Persistent vomiting in G.O.O. causes -
1. Hyponatremic hyperchloremia occur
2. Hypernatremia without led Cl- alkalosis
3. Hypokalemic metabolic alkalosis
4. All

Correct answer: 3. Hypokalemic metabolic alkalosis

Explanation: Answer is 'c' i.e. Hypokalemic metabolic alkalosis Repetitive vomiting leads to hypochloremic, hypokalemic metabolic alkalosis. The urine is alkaline initially but eventually it becomes acidic (paradoxical aciduria) Cause of paradoxical aciduria Initially the kidney compensate for metabolic alkalosis by reabsorbing hydrogen and chloride ions in exchange for sodium, potassium and bicarbonate. But gradually as the body stores of sodium and especially potassium become depleted, kidney starts retaining these ions in exchange of hydrogen ions, thus the urine becomes acidic and metabolic alkaline state is further aggravated.